Commonest cause of Intra cerebral bleed-
1. Berry aneurysms
2. Hypertension
3. Diabetes
4. Thrombocytopenia

Correct answer: 2. Hypertension

Explanation: Ans. is 'b' i.e., Hypertension Intracranial bleed o Most common cause of intracerebral (intraparenchymal) hemorrhage o Most common cause of subarachnoid hemorrhage o Most common cause of subdural hematoma --> o Most common cause of epidural hematoma --> Hypertension. Saccular Berry aneurism. Traumatic rupture of bridging veins. Injury to middle meningeal artery.